Which of the following act through helper T cells?
1. Cyclosporine
2. Azathioprine
3. Cytarabine
4. Cycloserine

Correct answer: 1. Cyclosporine

Explanation: Mechanism of action of:

Cyclosporine - Through T helper cells (by inhibiting calcineurin)
Azathioprine - Inhibits de novo purine synthesis and damages DNA. It selectively affects cytolytic T lymphocytes.
Cytarabine - Inhibits DNA synthesis in S-phase.
Cycloserine - Inhibits bacterial cell wall synthesis.